Gottron's papules are seen in:
1. Dermatomyositis
2. Scleroderma
3. Mixed connective tissue disorder
4. Pemphigus vulgaris

Correct answer: 1. Dermatomyositis

Explanation: Ans: A (Dermatomyositis) Ref: Connective Tissue Disorders. In: Thappa DM, editor. Essentials in Dermatology, 2nd edn. New Del hi: Jay pee; 134-47Explanation:DERMATOMYOSITISConnective tissue disorder characterized by inflammatory myositis presenting with proximal muscle weakness and cutaneous manifestations in the form of:Pathognomonic features:Gottron's papules - violaceous flat topped papules on IP joints and knuckles; also knee, elbow, medial malleoliGottron's sign- violaceous erythematous macules with or without edema at the above mentioned sitesCharacteristic features:Heliotrope rash- periorbital violaceous erythema with edemaShawl sign- erythema and scaling with or without poikiloderma over shoulder regionPeriungual telangiectasia and dystrophic cuticlesMechanic's hands- hyperkeratosis, scaling, Assuring and hyperpigmentation over fing-ertips, sides of thumbs and fingersCompatible features:Calcinosis cutisPoikilodermaa trophicans vasculare